All are autosomal dominant EXCEPT
1. Albinism
2. Marfan's syndrome
3. Familial adenomatous polyposis
4. Von - Hippel Lindau syndrome

Correct answer: 1. Albinism

Explanation: (Albinism) (268 - HM) (229- Basic pathology 8th)AUTOSOMAL RECESSIVE INHERITANCE1. b - thalassaemia2. Sickle cell anaemia3. Haemo chromatosis4. Cystic fibrosis of pancrease5. Albinism6. Wilson's disease7. Xeroderma - pigmentosum8. Inborn errors of metabolism (Lysosomal storage disease, glycogenosis, alkaptonuria, phenyl ketonia)